Which gene is most commonly mutated in autosomal dominant polycystic kidney disease (ADPKD)?
1. PKD1
2. PKD2
3. NHPS1
4. HEF

Correct answer: 1. PKD1

Explanation: PKD1 gene codes for polycystin-1 and is located on chromosome 16p13.3. Polycystin-1 is expressed in tubular epithelial cells, particularly those of the distal nephron. It contains domains that are usually involved in cell-cell and cell-matrix interactions. Mutations in PKD1 account for about 85% of cases. Numerous small cysts in the cortex and medulla give the kidney a spongelike appearance. Cysts have a uniform lining of cuboidal cells. Multiple epithelium-lined liver cysts are also seen.